Two important byproducts of HMP shunt are
1. NADH and pentose sugars
2. NADPH and pentose sugars
3. Pentose sugars and 4 membered sugars
4. Pentose sugars and sedoheptulose

Correct answer: 2. NADPH and pentose sugars

Explanation: The HMP shunt pathway has oxidative and non-oxidative phases. During the oxidative phase, glucose-6-phosphate is oxidized with the generation of 2 molecules of NADPH, and one molecule of pentose phosphate, with the liberation of one molecule of CO2. During the non-oxidative phase, the pentose phosphates are converted to intermediates of glycolysis.